Aschoff bodies in Rheumatic heart disease show all of the following features, except
1. Antischkow cells
2. Giant cells
3. Epitheloid cells
4. Fibrinoid necrosis

Correct answer: 3. Epitheloid cells

Explanation: Aschoff bodies do not contain epitheloid cells or Langhan's giant cells.